Best method to show trend of events with passage of time is
1. Bar diagram
2. Line diagram
3. Histogram
4. Pie chart

Correct answer: 2. Line diagram